Which one of the following is not an antacid?
1. Magnesium sulfate
2. Magaldrate
3. Magnesium carbonate
4. Magnesium phosphate

Correct answer: 1. Magnesium sulfate

Explanation: Clasification of antacids 1.systemic( sodium carbonate,sodium citrate) 2.Non systemic(magaldrate,magnesium carbonate,magnesium phosphate,magnesium hydroxide,aluminium hydroxide,calcium carbonate) ESSENTIALS MEDICAL PHARMACOLOGY SIXTH EDITION KD TRIPATHI PG NO.626